Removal of parathyroid gland produces the following changes EXCEPT
1. Decline plasma calcium level
2. Decrease in plasma phosphate level
3. Neuromuscular hyperexcitability
4. Hypocalcemic tetany

Correct answer: 2. Decrease in plasma phosphate level